Which of the following colonic polyps is not premalignant?
1. Juvenile polyps
2. Hamartomatous polyps associated with Peutz Jeghers Syndrome
3. Villous adenomas
4. Tubular adenomas

Correct answer: 1. Juvenile polyps

Explanation: Juvenile polyp is a hamartomatous polyp.Hamartomatous polyps do not have malignant potential. They are characterized by overgrowth of normal components of the colon such as epithelium, connective tissue.These hamartomatous polyps are seen in the following conditions like Familial juvenile polyposis, Cronkhite Canada syndrome, Peutz Jeghers syndrome.Unlike juvenile solitary hamartomatous polyps, polyps associated with Familial polyposis and Peutz Jeghers syndrome may degenerate into adenomas and eventually into carcinomas. There is an increased risk of both gastrointestinal and extraintestinal malignancies in the syndromes.Risk of malignancy for villous adenoma is about 40% and for tubular adenoma is 1-3%.Pseudopolyps in IBD is not premalignant.(Ref: Harrison's 17/e p575.)